In orthotropic liver transplantation, which is the best way to get bile drainage in donor's liver
1. Donor bile duct with recipient bile duct or Roux en Y choledochojejunostomy
2. Donor bile duct with duodenum of recipient
3. Donor bile duct with jejunum of recipient
4. External drainage for few days followed by choledochojejunostomy

Correct answer: 1. Donor bile duct with recipient bile duct or Roux en Y choledochojejunostomy

Explanation: Liver transplant is becoming popular for cirrhosis with varices. It is ideal, final and best. But donor availability and cost is the problem. If patient is for orthotopic liver transplantation (OLT), open shunt surgeries should not be done as liver hilum should be kept virgin for effective transplantation. TIPSS can be done as a bridge in such patients. Ref: SRB's manual of surgery,3 rd ed, pg no 555